Adductor canal contains all except -
1. Femoral artery
2. Femoral vein
3. Femoral nerve
4. Saphenous nerve

Correct answer: 3. Femoral nerve

Explanation: On the medial aspect of middle third of thigh, there is an intermuscular cleft known as adductor canal, which lies beneath the Sartorius muscle. This contains 
-        Femoral artery
-        Femoral vein
-        Nerve to vastus medialis
-        Posterior division of obturator nerve (Occasional)
-        Descending genicular artery
-        Saphenous nerve